Which colour of triage is given the highest priority?
1. Red
2. Green
3. Yellow
4. Black

Correct answer: 1. Red

Explanation: ColourProirityMedical needClinical statusRedFirstImmediateCritical, but likely to survive if treatmentgiven earlyYellowSecondUrgentCritical, likely to survive if treatment givenwithin hoursGreenThirdNon-urgentStable, likely to survive even if treatmentis delayed for hours to daysBlackLastUnsalvageableNot breathing, pulseless, so severelyinjured that no medical care is likely tohelpBailey and love 27e pg: 412